Kassowitz law is related to:
1. Gonorrhoea
2. Herpes genitals
3. Donovanosis
4. Syphilis

Correct answer: 4. Syphilis

Explanation: Kassowitz law states that as the stages of syphilis progress in a pregnant females outcome of  pregnancy is better.
Pregnancy during primary syphilis can lead to abortion.
Pregnancy in secondary syphilis can lead to still births.
Whereas a pregnant females in tertiary syphilis is more likely to have a live birth.